In a population of 1000, there are 200 eligible couples. 30 out of them use condom, 20 use IUCD, 20 use OC pills while 70 have undergone female sterilization. The rest do not use any method. Calculate Couple protection rate.
1. 35%
2. 55%
3. 62%
4. 70%

Correct answer: 4. 70%

Explanation: - Given, total eligible couples = 200 ; eligible couples protected by any of approved methods = 30+20+20+70 =140 - CPR = Total no. of eligible couples protected by any of approved methods/Total no. of eligible couples in the communityx100 =140/200 = 70% Approved methods of Family planning Sterlization IUD Condom Oral pills